Sulphasalazine is NOT used for the treatment of
1. Crohn's disease
2. Rheumatoid arthritis
3. Sarcoidosis
4. Ulcerative colitis

Correct answer: 3. Sarcoidosis